AIDS day is on
1. 1st December
2. 7th May
3. 20th November
4. None

Correct answer: 1. 1st December